Major blood supply of pectoralis major muscles is
1. Thoracoacromial trunk
2. Lateral thoracic artery
3. Internal mammary artery perforating branches
4. Axillary artery

Correct answer: 1. Thoracoacromial trunk

Explanation: Major blood Supply of Pectoralis major muscles is thoracoacromial trunk. The intercostal perforators arising from the internal mammary artery provide a segmental blood supply BD CHAURASIA'S HUMAN ANATOMY.VOLUME 1. 6TH EDITION.PAGE NO 180. TABLE A1.5:arteries of upper limb